In an asthmatic patient; the causative agent was found to be fungi with septate hyphae. The organism is
1. Aspergillus
2. Candida
3. Mucor
4. Cryptococcus

Correct answer: 1. Aspergillus

Explanation: A fungus with septate hyphae in the asthmatic patient can be none other than Aspergillus, and this is a case of allergic bronchopulmonary aspergillosis. Ref: Ananthanarayana textbook of Microbiology 9th edition Pgno : 609